Which of the following is caused by defective tyrosine metabolism?
1. Richner-Hanhart syndrome
2. Neonatal tyrosinemia
3. Alkaptonuria
4. All of the above

Correct answer: 4. All of the above

Explanation: Metabolic diseases of tyrosine catabolism include tyrosinosis, Richner-Hanhart syndrome, neonatal tyrosinemia, and alkaptonuria. Ref: Harper 28th edition, chapter 29.